Hair perforation test is positive in infection with?
1. Trichophyton
2. Exophila werneckii
3. Epidermophyton
4. All of the above

Correct answer: 1. Trichophyton

Explanation: Hair perforation test: This test is performed to differentiate T. rubrum from T. mentagrophytes and M. canis from Microsporum equinus. T. mentagrophytes shows a positive hair perforation test characterized by a wedge-shaped perforation of the hair. This test is negative for T. rubrum in which only surface eruption of hair shaft is demonstrated. figure :-Perforation test positive Exophila/Hortaea werneckii is the causative agent of Tinea nigra (brown or black patches on the soles of the feet)